An amino acid which does not participate by α-helix formation is
1. Leucine
2. Glycine
3. Proline
4. Lysine

Correct answer: 3. Proline